Generation time of Mycobacterium leprae is:
1. 2-5 days
2. 7-10 days
3. 12-14 days
4. 20-25 days

Correct answer: 3. 12-14 days

Explanation: Generation time: Is the time interval between two cell divisions or the time required for a bacterium to give rise to two daughter cells. It is also known as population doubling time. The generation time of lepra bacillus is 12 to 13 days on an average. Good to know: M. tuberculosis has generation time of 15-20 hours and for coliform bacillus it is just 20 minutes. Ref: Textbook of Microbiology By, R. Ananthanarayan, C.K. Jayaram Paniker, 7th Edition, Page 18,371.